Traumatic eye lesion can cause:
1. Vitreous haemorrhage
2. Corneal opacity
3. Exudative retinal detachment
4. All

Correct answer: 4. All

Explanation: A. i.e. Vitreous hemorrhage; B. i.e. Corneal opacity; C i.e. Exudative retinal detachment